TOF not associated with ?
1. ASD
2. VSD
3. RVH
4. PS

Correct answer: 1. ASD

Explanation: Ans. is 'a' i.e., ASD Tetrology of fallot Cyanotic heart disease (MC) Defect in infundibular septum leads to : Pulmonary stenosis VSD (Not ASD) Dextroposition and overriding of aorta. Right ventticular hypertrophy (NOT LVH). Pink TOF (Acyanotic TOF) when PS is mild to moderate balanced shunt tnt across the VSD, pt not have cyanosis.